The pathological feature in wegener's granulomatosis on renal biopsy is
1. Nodular glomerulosclerosis
2. Focal necrotising glomerulonephritis
3. Granulomas in the vascular wall
4. Granulomas in parenchyma of kidney

Correct answer: 2. Focal necrotising glomerulonephritis

Explanation: Robins..... 'The renal lesions range from a mild/early disease, where glomeruli show acute focal neorosis with thrombosis of isolated glomerulas capillary loops (focal and segmental necrotising glomerulonephritis) where as advanced glomerular lesions are characterized by diffuse necrosis and partial cell proliferation to form crescents.
Direct quote from harrison......
"Necrotising vasculitis of small arteries and veins with gramuloma formation is seen in pulmonary tissue where as granuloma formation is rarely seen on renal bipsy'.